Combination of fixed dilated pupil with iris atrophy and secondary glaucoma following penetrating keratoplasty is:
1. Benedicts syndrome
2. Possner Scholsman Syndrome
3. Urrets Zavalia Syndrome
4. Kauffman

Correct answer: 3. Urrets Zavalia Syndrome

Explanation: Typical symptoms of Urrets zavalia, after corneal transplant in keratoconus surgery. URRETS ZAVALIA SYNDROME * Fixed dilated pupil unresponsive to pilocarpine * Iris atrophy due to iris ischemia Multiple posterior synechiae * Seen in post corneal transplantation in Keratoconus * Elevated IOP a risk factor Use of mydriatics is also considered as a risk factor